Burkitts lymphoma associated with ?
1. EBV
2. HHV
3. HIV
4. HTLV

Correct answer: 1. EBV

Explanation: Ans. is 'a' i.e., EBV